Rapidly progressive glomerulonephritis can be associated with all of the following, except:
1. Goodpasture syndrome
2. Lupus nephritis
3. Diabetic nephropathy
4. Post-infectious glomerulonephritis

Correct answer: 3. Diabetic nephropathy

Explanation: Nephritic syndrome Post streptococcal glomerulonephritis Non streptococcal glomerulonephritis Rapidly progressive glomerulonephritis Type I (Anti GBM antibody) Renal limited Goodpasture syndrome Type II (Immune complex mediated) Idiopathic Post infectious glomerulonephritis Lupus nephritis Henoch Schonlein Purpura IgA nephropathy Type III (Pauci immune) ANCA associated vasculitis disorders Idiopathic Granulomatosis with polyangitis Microscopic polyangiitis